Death of judicial hanging is because of -
1. Vasovagal shock
2. Occlusion of airway
3. Fracture disclocation of upper cervical vertebra
4. Coma

Correct answer: 3. Fracture disclocation of upper cervical vertebra

Explanation: Cause of death in judicial hanging is fracture dislocation of upper cervical vertebra (C2-C3, C3-C4) with injury to spinal cord and brainstem.